Na+-1C+ ATPase is a -
1. Extrinsic protein
2. Peripheral protein
3. Transmembrane protein
4. Intracellular proteins

Correct answer: 3. Transmembrane protein

Explanation: Ans. is'c'i.e., Transmembrane proteinlRef: Principles of medical physiology p. 5I2) .Ion pumps (including Na* - K. ATPase) and channels are integral (Transmembrane) proteins.